A labourer involved with repair-work of sewers was admitted with fever, jaundice and renal failure. The most appropriate test to diagnose the infection in this patient is -
1. Weil Felix test
2. Paul Bunnell test
3. Microscopic agglutination test
4. Microimmunofluorescence test

Correct answer: 3. Microscopic agglutination test